Sporulation occurs in:
1. Lag phase
2. Log phase
3. Stationary phase
4. Decline phase

Correct answer: 3. Stationary phase

Explanation: Option a, b, c, d Bacterial growth curve: When a bacterium is inoculated into a suitable liquid culture medium and incubated, its growth follows a definite course. When bacterial count of such culture is determined at different intervals and plotted in relation to time, a bacterial growth curve is obtained comprising of four phases. Spore formation usually occurs during the stationary phase, when cell growth ceases because of a developing lack of nutrients or accumulation of toxins. Phases of bacterial growth curve: Lag Phase Log Phase Stationary phase Decline Phase Bacteria divide No Yes Yes No Bacterial death No No Yes Yes Total count Flat Raises Raises Flat Viable count Flat Raises Flat Falls Special features 1. Preparatory phase 2. Accumulation of enzymes and metabolites 3. Attains maximum size at end of lag phase 1. Uniformly stained, 2. Metabolically active 3. Small size 1. Gram variable 2. Produce: Granules, spores, exotoxin, antibiotics, bacteriocin 1. Produce involution forms